All are X-ray findings of Staphylococcus pneumonia except:
1. Pneumatocoele
2. Hilar lymphadenopathy
3. Empyema
4. Absent air bronchogram

Correct answer: 2. Hilar lymphadenopathy

Explanation: In S. aureus pneumonia, lobar enlargement with bulging of interlobular fissures can be seen in severe cases. Air bronchograms are not seen Abscess, cavitations (with air-fluid levels) and pneumatoceles are commonly seen and 30-50% of patients develop pleural effusions, half of which are empyemas. Note :- Cavitation and associated pleural effusions are also observed in cases of anaerobic infections, gram-negative infections and tuberculosis.